Food poisoning is seen with
1. Staph aureus
2. Staph. epidermidis
3. Strep. pyogenes
4. Staph saprophyticus

Correct answer: 1. Staph aureus

Explanation: Enterotoxin is responsible for the manifestations of staphylococcal food poisoning - nausea, vomiting, and diarrhea 2-6 hour after consuming food contaminated by the preformed toxin. The toxin is a relatively heated stable, resisting 100deg C for 10 to 40 minutes depending on the concentration of toxin and nature of the medium. Ref: Ananthanarayan and Paniker's Textbook of Microbiology, 9th edition; pg no: 202